Which of the following topical steroids is the most potent?
1. Halobetasol propionate
2. Fluticasone
3. Hydrocortisone
4. Triamcinolone acetonide

Correct answer: 1. Halobetasol propionate

Explanation: Ans. is 'a' i.e., Halobetasol propionate Classification of topical steroids based on potencyClass 1(Super potent)Clobetasol propionate ointment and cream 0.5%Betamethasone dipropionate ointment 0.05%Halobetasol propionate ointment and cream 0.05%Class 2(Highly potent)Mometasone furoate ointment 0.1%Class 3(Potent)Betamethasone dipropionate cream 0.05%Fluticasone propionate ointment 0.05%Class 4(Moderately potent)Fluocinolone acetonide ointment 0.025%Fluticasone propionate cream 0.05%Mometasone furoate cream 0.1%Class 5(Moderately potent)Betamethasone valerate cream 0.1%Hydrocortisone butyrate cream 0.1%Class 6(Mildly potent)Desonide cream 0.05%Fluocinolone acetonide solution 0.05%Class 7(Least potent)Dexamethasone cream 0.1%Hydrocortisone 1%